In antral lavage, approach is through
1. Medial wall
2. Roof
3. Posterior wall
4. Canine fossa

Correct answer: 1. Medial wall

Explanation: This procedure involves puncturing the medial wall of maxillary sinus in the region of inferior meatus and irrigating the sinus. Antral Puncture- Ref- Dhingra, 6th edition, page 408.